A 60-yr-old man with a complaint of progressive dementia for the past 6 months with intermittent jerky movement involving the whole body from 2 days. EEG showed periodic sharp biphasic waves. Diagnosis is -
1. Alzheimer's
2. Creutzfeld Jakob disease
3. Lewy body dementia
4. Herpes simplex encephalitis

Correct answer: 2. Creutzfeld Jakob disease